Cutaneous larvae Migrans is most frequently caused by:
1. Ancylostoma braziliense
2. Anisakiasis
3. Gnathostoma
4. Toxocara canis

Correct answer: 1. Ancylostoma braziliense

Explanation: Ancylostoma braziliense is the most common cause of Cutaneous larvae Migrans (CLM) Toxocara canis (and toxocara catis). Anisakis and Gnathostoma are common agents associated with visceral Larva Migrans. Larva Migrans: The life cycle of most parasites include migration of larvae through various tissues and organs of the body. When such larvae are not able to complete their journey through host's tissue to reach localization in their normal abode, their normal progress is arrested and they may localize in unexpected tissue or organs. This condition is called larvae migrans and is generally seen when human infection occurrs with nonhuman species of nematodes. According to the mode of entrance and localization two type of larva migrans are recognized: Cutaneous Larva Migrans (Creeping eruption) Visceral Larva Migrans Caused by larvae that enter by skin penetration Ancylostoma (most common) Strongyloides stercoralis Ectopic infection with Fasciola & Paragonimus Caused by larvae that enter by oral route Toxocara canis (dog ascarid) Toxocara cati (cat ascarid) Anisakis (Anisakiasis) Gnathostoma (Gnathostomiasis) Transient creeping eruptions may also caused by Nector Americanus, Gnathostomiasis, Sparaganosis Creeping miasis may be caused by flies of genus Hypoderma & Gastrophillus. Ref: Medical parasitology by Arora and Arora 4th edition Pgno: 194